Intermediate mesoderm is the precursor of the:
1. Heart
2. Body wall
3. Urogenital system
4. Somites

Correct answer: 3. Urogenital system

Explanation: Intermediate Mesoderm
The intermediate mesoderm forms most of the genitourinary system, e.g., kidneys, testes, ovaries, etc.
The intermediate mesoderm is a longitudinal strip of intraembryonic mesoderm lying on either side of notochord between paraxial mesoderm and lateral plate mesoderm. After folding of embryo the intermediate mesoderm forms a longitudinal elevation of mesoderm along the dorsal body wall on each side of dorsal aorta/dorsal mesentery of gut. This longitudinal elevation is called urogenital ridge.
The medial part of urogenital ridge that gives rise to the genital system is called genital ridge and lateral part of urogenital ridge that gives rise to the urinary system is called nephrogenic cord.